Which of the following swelling moves on protrusion of tongue -
1. Thyroglossal cyst
2. Branchial cyst
3. Ranula
4. Cyst in hyoid bone

Correct answer: 1. Thyroglossal cyst